In methyl alcohol poisoning there is CNS depression, cardiac depression and optic nerve atrophy. These effects are produced due to -
1. Formaldehyde and formic acid
2. Acetaldehyde
3. Pyridine
4. Acetic acid

Correct answer: 1. Formaldehyde and formic acid

Explanation: Methanol itself is not toxic but two metabolites formed -- formaldehyde and formic acid are highly toxic. These compounds are responsible for causing profound metabolic acidosis and visual defect and blindness REF;THE SYNOPSIS OF FORENSIC MEDICINE:KS NARAYANA REDDY;28th EDITION;PAGE NO 332